What is the composition of phospholipid
1. Glycerol + phosphate + Choline or ethanolamine
2. Glycerol + 1 Fatty acid + phosphate + Choline or ethanolamine
3. Glycerol +  2 Fatty acids + Phosphate + Choline or ethanolamine
4. Glycerol + 3 Fatty acids + Phosphate + Choline or ethanolamine

Correct answer: 3. Glycerol +  2 Fatty acids + Phosphate + Choline or ethanolamine